Duochrome test is used for
1. Colour blindness
2. Cylindrical axis
3. Spherical axis
4. Astigmatism

Correct answer: 3. Spherical axis

Explanation: Refining the sphere : The spherical correction is refined after refining the cylinder power and axis . It is done by following tests : Fogging technique Duochrome test Pin-hole test Reference : A.K.Khurana; 6th edition; Page no: 578